Raynaud Braude phenomenon is seen in
1. Candida albicans
2. Chlamydia psittaci
3. Histoplasma
4. Cryptococcus

Correct answer: 1. Candida albicans

Explanation: Candida species:General characteristicsCultural characteristics*Gram positive ovoid, elongated budding yeast-like fungi*Major pathogenic species: C.albicans, C.tropicalis, C.glabrata, C.parapsilosis, C.krusei*Non capsulated*Candida is a human commensal so infection is mostly endogenous*Important Opportunistic pathogen*Blood agar and SDA - creamy white, some are pasty and few are rough colonies*Preferred media - Sabouraud dextrose agar with or without antibiotics (Gentamicin, chloramphenicol and cycloheximide) Virulence factorsClinical features*Adhesins*Urease activity*Extracellular proteinases*Phospholipases*Lipases*Hydrolytic enzymes*Phenotypic switching: from budding yeasts- Pseodohyphae-true hyphae*Superficial infections: Cutaneous (intertrigo, diaper rash), nail (paronychia and onychomycosis) and mucosal infections (oral thrush, stomatitis and vaginal candidiasis)*Deep infections (esophagitis, GIT candidiasis, endocarditis, UTIs, Meningitis, Ocular candidiasis)*Disseminated candidiasis and candidaemiaDiagnosisTreatment*Microscopy: Direct Gram stain and KOH mount, Calcofluor white stain and LPCB*Culture: Blood agar and SDA*Germ tube test: Reynauds-Braud phenomenon positive*Corn meal agar with Tween 80: identification of species*CHROM agar inoculation: different colour by Candida species*Sugar fermentation and assimilation test*DOC - Amphotericin B*Alternative - Echinocandins and Azoles (Ref: Ananthanarayan 9th edition, p611-612)